Dose of Dapsone is -
1. 1-2 mg/kg
2. 5 mg/ kg
3. 10 mg/kg
4. 20 mg/kg

Correct answer: 1. 1-2 mg/kg

Explanation: A. i.e. 1-2 mg/kg